Episodic generalized weakness can occur due to all of the following acute electrolyte disturbances, except :
1. Hypokalemia
2. Hypocalcemia
3. Hyponatremia
4. Hypophastemia

Correct answer: 2. Hypocalcemia

Explanation: Answer is B (Hypocalcemia): Episodic generalized weakness is associated with hypercalcemia and not Hypocakemia.